Malignancy of the Breast is likely to be associated with -
1. Sclerosing adenosis
2. Atypical epithelial hyperplasia
3. Cystic change
4. Apocrine metaplasia

Correct answer: 2. Atypical epithelial hyperplasia